The Non- REM (NREM) sleep is commonly associated with:-
1. Frequent dreaming
2. Frequent penile erections
3. Increased blood pressure
4. Night terrors

Correct answer: 4. Night terrors

Explanation: Night terrors are seen in NREM Stage 4. * Individuals have very little or no recall of thought content that might be present during their non-REM sleep. Remaining options are features of REM sleep. Features of REM sleep: Rapid eye movement Generalized muscle atony Penile erections Autonomic hyperactivity